Active principal of Lathyrus sativa is:
1. PyiTolizidine
2. Sanguinarine
3. BOAA
4. Jhunjhunia

Correct answer: 3. BOAA

Explanation: Ans. is 'c' i.e. BOAA BOAA stands for Beta Oxalyl Amino Alanine*Lathyrus sativus is a pulse (khesari dal) whose consumption leads to Lathyrism, a paralysing disease.Lathyrism is an important topic for PG questionsFollowing are the important points about it:Caused by ingestion of Khesari dal (Lathyrus sativus) for 2-6 month*Neurolathyrism is characterized by spastic paralysis of lower limbs*Disease affects young men* between 15 - 45 years*For prevention and control of Lathyrism Vit C prophylaxis* is usedToxin can be removed from khesari dal by:Steeping method* - (pulse is soaked in hot water for 2 hours after which the soaked water is drained off completely)Parboiling* - (Dal is soaked in lime water over night followed by boiling)